Amino acid connot be used for glycogen synthesis
1. Alanine
2. Threonine
3. Leucine
4. Methionine

Correct answer: 3. Leucine

Explanation: Ans. is 'c' i.e., Leucine Synthesis of glucose from non-carbohydrate precursors is called gluconeogenesis. When the end product is glycogen instead of glucose, the process is called glyconeogenesis, i.e., synthesis of glycogen from noncarbohydrate precursors. Terms gluconeogenesis and glyconeogenesis are used interchangeably as all reactions are same except for last where glucose-6-phosphate enters the glycogen synthesis pathway, instead by being converted to glucose. Coming back to question Alanine, threonine and methionine are glucogenic amino-acids, i.e. can be used as substrates for gluconeogenesis or glyconeogenesis. Leucine is purily ketogenic amino acid, can not be used as a substrate for gluconeogenesis or glyconeogenesis.